Following is/ are the clinical feature/ s of lepromatous leprosy ?
1. Leonine facies
2. Loss of libido and impotence
3. Saddle nose
4. All the above

Correct answer: 4. All the above

Explanation: Ans. is 'd' i.e., All the above Important clinical features of lepromatous leprosy Diffuse erythema, tingling, nasal stuffiness or epistaxis are earliest manifestations. Nodules with predeliction for external ears. Madarosis (loss of eye lashes and eye brows). Saddle nose (Collapse of nasal bridge) and perforation of palate. Testicular involvement results in loss of testicular sensation, loss of libido, impotence & gynaecomastia. Leonine face (Diffuse dermal infiltration of face). Symmetrical thickening of peripheral nerve.? Trophic ulcer/neuropathic ulcer/Perforating ulcer develop frequently in lepromatous leprosy because sensory impairment appears before motor weakness and the patient continues to misuse his hands and feet. Systemic involvement :- Lymphadenopathy, Hepatomegaly, ocular involvement.